WHO STEPS is used for :
1. Communicable diseases
2. Non-commuicable diseases
3. Immunodeficient diseases
4. Autoimmune diseases

Correct answer: 2. Non-commuicable diseases

Explanation: STEP wise approach to surveillance (STEPS): Is a simple, standardized method by WHO for surveillance Is of Two types STEP wise approach to chronic disease risk factor surveillance STEP wise approach to Stroke Surveillance Comprises of 3 steps : STEPS CORE EXPANDED STEP 1 Behavioural measurements Tobacco use Alcohol consumption Diet Physical activity History of raised BP History of diabetes Tobacco use Alcohol consumption Diet Physical activity History of raised BP History of diabetes STEP 2 Physical measurements Height and weight Waist BP Hip Circumference and Heart rate STEP 3 Biochemical measurements Blood glucose Blood lipids Triglycerides and HDL cholesterol Ref: World Health Organisation